Tongue muscles develops from:
1. Occipital somites
2. Hypobranchial eminence
3. Neural crest cells
4. Pharyngeal pouches

Correct answer: 1. Occipital somites

Explanation: Tongue muscles develop from occipital myotomes and are innervated by the hypoglossal nerve.
One tongue muscle (palatoglossus) develops in pharyngeal arch mesoderm.